Type 1 diabetes mellitus is associated with-
1. Male gender
2. Old age
3. Gestational diabetes
4. HLADR3

Correct answer: 4. HLADR3

Explanation: Type 1 DM is the result of interactions of genetic, environmental, and immunologic factors that ultimately lead to T-cell mediated autoimmune destruction of the pancreatic beta cells and insulin deficiency. Type 1 DM, which can develop at any age, develops most commonly before 20 years of age. Most individuals with type 1 DM have the HLA DR3 and/or DR4 haplotype. There is little or no sex bias within either Type I (insulin-dependent)(although most autoimmune diseases disproportionately affect females) or Type II (non-insulin-dependent) diabetes mellitus. Reference : page 2403 Harrison's Principles of Internal Medicine 19th edition